Which of the following represents the function of fever treatment depot involved in controlling malaria?
1. Treatment of fever
2. Diagnosis of cases and spraying
3. Collection of slides & treatment of fever
4. Treatment & slide collection + spraying

Correct answer: 3. Collection of slides & treatment of fever

Explanation: Under National Malaria Eradication Programme schedule, the role of fever treatment depot is to collect blood slides and distribute antimalarial tablets. Role of Drug distribution center is to dispense antimalarial tablets as per NMEP schedule.